Mangled Extremity Severity Score (MESS) includes all of the following, EXCEPT:
1. Shock
2. Ischemia
3. Neurogenic injury
4. Skeletal injury

Correct answer: 3. Neurogenic injury

Explanation: The mangled extremity severity score (MESS) is a scoring system that can be applied to mangled extremities and help to determine which mangled limbs will eventually go for amputation and which can be salvaged. This system grades the injury on the basis of 4 categories: skeletal or soft tissue injury, limb ischemia, shock and the patient's age.